IQ Value of 50 - 69 is
1. Imbecile
2. Moron
3. Normal
4. Idiot

Correct answer: 2. Moron